Diphtheria antibody titer considered optimally protective is
1. >0.1 IU/ml
2. >0.01 IU/ml
3. >0.05 IU/ml
4. 0.5 IU/ml

Correct answer: 1. >0.1 IU/ml

Explanation: Diphtheria antibody titer considered as optimally protective is >0.1 IU/ml. Titers of IgG antibody against diphtheria toxoid vaccine reflect various levels of protection against the disease as follows: <0.01 IU/ml: No protection 0.01 IU/ml: Basic protection >0.1 IU/ml: Optimal protection. Ref: Textbook of microbiology; Ananthanarayan and paniker's; 10th Edition; Pg; 245